For calculating drug dosage, which of the following formula is not age-dependent:
1. Young's formula.
2. Cushing's rule.
3. Cowling's formula.
4. Clark's rule.

Correct answer: 4. Clark's rule.